Most common cause of nongonococcal septic arthritis is
1. Staph - aureus
2. H. influenza
3. Pseudomonas
4. Streptococcus

Correct answer: 1. Staph - aureus

Explanation: Ans. is 'a' i.e. Staph aureus m.c cause or septic arthritis isCommonest route of infectionCommonest joint affected-Staph aureus**-Hematogenous* knee*